The production rate of the following hormone near term, is the greatest of any known hormone in humans (approximately IgM/day):
1. Relaxin
2. Progesterone
3. hCG
4. HPL

Correct answer: 4. HPL

Explanation: Ans. D. HPLa. Human placenta lactogen (HPL) was named so, because of its potent lactogenic & growth hormone like bioactivity, as well as immunochemical resemblance to human growth hormone.b. It is detected as early as 2nd or 3rd week after fertilization.c. It is a single, non-glycosylated polypeptide chain with a molecular weight of 22,279Da. It is derived from a 25,000Da precursor.d. Maternal plasma concentrations are linked to placental mass & they rise steadily till 34-36 weeks of gestation.e. The HPL production rate near term is by far the greatest of any known hormone in humans- approximately IgM/day.f. The half-life in maternal plasma is between 10 & 30 minutes. The functions of HPL are:i. It decreases maternal insulin sensitivity (increases insulin resistance) & ensures nutrient flow to the fetus.ii. It promotes maternal lipolysis with the release of free fatty acids. This provides an energy source for maternal metabolism & fetal nutrition.iii. It favors protein synthesis & provides a readily available amino acid source to the fetus.iv. Potent angiogenic hormone & may serve a function in fetal vasculature formation.